All of the following joints ossify 16 years of age except
1. Ankle
2. Hip
3. Knee
4. Elbow

Correct answer: 3. Knee

Explanation: Milking Position, to remember age of ossification of skeletal maturity.

Joints facing toward sky like shoulder, wrist and knee ossify around 18 years.
Joints facing towards ground like hip, ankle and elbow ossify around 16 years.